The particle size in microfilled composites is
1. 0.02 to 0.04 mm
2. 0.5 to 1.0 microns
3. 0.01 to 0.1 microns
4. 0.3 to 0.4 mm

Correct answer: 3. 0.01 to 0.1 microns